What is the fluid of choice during resuscitation of child with severe malnutrition and shock
1. Ringer lactate with 5 % dextrose
2. Normal saline with 5 % dextrose
3. Ringer lactate
4. Normal saline

Correct answer: 1. Ringer lactate with 5 % dextrose

Explanation: As there is severe malnutrition glucose should be added. Hence 5 % dextrose is added to Ringer lactate.